A 40-year-old male patient presented with slowly progressive dysphagia both to solids and liquids, regurgitation, chest pain and weight loss for 2 months. Barium swallow and esophageal manometry was advised by the doctor. Upper GI endoscopy was also performed. Which of the following organism has been most commonly implicated in causing the above disease: -
1. HSV 1
2. HSV 2
3. Varicella
4. CMV

Correct answer: 1. HSV 1

Explanation: This is a case of achlasia cardia. Barium swallow x-ray appearance shows a dilated esophagus with poor emptying, an air-fluid level, and tapering at the les giving it a beak-like appearance. Esophageal manometry shows impaired lower esophageal sphincter (LES) relaxation and absent peristalsis and minimal pressurization of the esophageal body. UPPER GI ENDOSCOPY SHOWS a: Functional stenosis of the esophagogastric junction. b: Wrapping around the esophagogastric junction. c: Abnormal contraction of the esophageal body. d: Mucosal thickening and whitish change. e: Dilation of the esophageal lumen. f, g: Liquid and/or food remnant. Achalasia cardia It is an autoimmune process Due to loss of ganglion cells Presents with dysphagia, regurgitation and chest pain. It is attributed to latent infection with HSV-1.